A patient Ashwani has been brought to the hospital with non–stop talking, singing, uncontrollable behavior and an apparent loss of contact with reality. You diagnose it to be a case of acute mania. Which of the following is the most suitable drug for rapid control of his symptoms?
1. Lithium carbonate
2. Phenobarbitone
3. Haloperidol
4. Valproic acid

Correct answer: 3. Haloperidol